A 45yr diabetic patient is found to be associated with Hypertriglyceridemia and elevated LDL.Which of the following vitamin can be indicated in this patients?
1. Thiamine
2. Riboflavin
3. Niacin
4. Pantothenic acid

Correct answer: 3. Niacin

Explanation: Niacin is indicated in hypertriglyceridemia and elevated LDL-C which are commonly associated with diabetes. Niacin-induces insulin resistance, and also decreases glucose-stimulated insulin secretion, which may result in severe hyperglycemia. If niacin is prescribed for patients with known or suspected diabetes, blood glucose levels should be monitored for at least weekly once, until patient is proven to be stable So niacin should be used cautiously in diabetics Reference: Harpers illustrated biochemistry 30th edition